DPT vaccine is given -
1. Intramuscular
2. Subcutaneous
3. Intradermal
4. Intravenous

Correct answer: 1. Intramuscular

Explanation: Ans. is 'a' i.e., Intramuscular DPT Vaccineo It contains components for immunization against three diseases, i.e., toxoid of diphtheria and tetanus, and killed B. pertussis. Pertussis component enhances the potency of diphtheria toxoid.o Aluminium salts (hydroxide or phosphate) are used as adjuvant to increase immunogenicity. Thiomersalis used as preservative.o Usual storage temperature for DPT vaccine in cold chain is +2 to+8degC, stored in refrigerator. It should never be stored in deep freezer (should not be frozen) and if it gets frozen accidently, vaccine should he discarded.o Exposure to sunlight should he avoided. Open vials which have not been fully used should be discarded at the end of sessiono Vaccine is given by intramuscular route in the middle third of anterolateral aspect of thigh.o Optimum age to start DPT vaccination is 6 weeks after birth.o Total three doses are given in primarly immunization with an interval of 4 weeks between three doses. First booster is given at 16-24 months with second booster at 5-6 years.DoseAgeDPT,6 weeks of ageDPT:10 weeks of ageDPT314 weeks of ageDP TBooster16-24 months of ageDPTBooster5 years of ageo Absolute valid contraindications to DPT vaccine are (i) Severe allergic reaction to previous dose, and (ii) progressive neurological deficit (i.e. active epilepsy). Epilepsy controlled on antiepileptic drugs is not a contraindication.